All are measures taken to address hyperkalemia in acute kidney injury, except
1. Initiate loop diuretics
2. Initiate ACE inhibitors
3. Insulin and glucose
4. Beta agonist inhalation

Correct answer: 2. Initiate ACE inhibitors

Explanation: Measures taken in hyperkalemia a. Restriction of dietary potassium intake b. Discontinuation of potassium-sparing diuretics, ACE inhibitors, ARBs, NSAIDs c. Loop diuretics to promote urinary potassium loss d. Potassium-binding ion-exchange resin (sodium polystyrene sulfonate) e. Insulin (10 units regular) and glucose (50 mL of 50% dextrose) to promote entry of potassium intracellularly f. Inhaled beta-agonist therapy to promote entry of potassium intracellularly g. Calcium gluconate or calcium chloride (1 g) to stabilize the myocardium Ref: Harrison 19e 1809